Most accurate method to diagnose Hemangioma of liver
1. USG
2. MRI
3. Hepatic Scintigraphy
4. CECT

Correct answer: 2. MRI

Explanation: Most accurate method - MRI > hepatic scintigraphy.